Following drugs have abuse liability except -
1. Buprenorphine
2. Alprazolam
3. Fluoxetine
4. Dextropropoxyphene

Correct answer: 3. Fluoxetine

Explanation: SSRIs have no addictive property - do not produce dependence.
Opioids (Dihydroxy propoxyphene & buprenorphine) are highly addictive.
BZDs (Alprazolam) have some addictive property, but less than barbiturates